All the following are used in the treatment of pneumocystis carinii except
1. Pentamidine
2. Dapsone
3. Cotrimoxazole
4. Fluoroquinolones

Correct answer: 4. Fluoroquinolones